Ansa cervicalis supplies
1. Cricothyroid
2. Stylohyoid
3. Sternohyoid
4. Mylohyoid

Correct answer: 3. Sternohyoid

Explanation: Ansa cervicalis supplies to the sternohyoid, the sternothyroid, and the inferior belly of the omohyoid Notes; ansa cervicalis is a thin nerve loop that lies embedded in the anterior wall of the carotid sheath over the lower part of the larynx.it supplies the infrahyoid muscles Ref: BDC volume 3;Sixth edition pg 103